Communicating opening between greater sac and lesser sac?
1. Foramen of winslow
2. Foramen of Monro
3. Hepatorenal pouch
4. Pouch of Douglas

Correct answer: 1. Foramen of winslow

Explanation: Epiploic foramen (foramen of winslow or aditus to lesser sac) is a slit-like opening through which lesser sac communicates with greater sac. It is situated at the level of T12 vertebra. Its boundries are :- Anterior :- Right free margin of lesser omentum (contains portal vein, hepatic artery proper and bile duct). Posterior :- IVC, right suprarenal gland and T12 vertebra. Superior :- Caudate lobe of liver. Inferior :- 1 part of duodenum and horizontal part of hepatic artery.